Paget's disease of the nipple is?
1. Infection
2. Dermatitis
3. Neoplasia
4. Hypopigmentation

Correct answer: 3. Neoplasia

Explanation: Ans. is 'c' i.e. Neoplasia